The secretion of which of the following hormones increases with chlorpromazine therapy?
1. Prolactin
2. Gonadotropin
3. Corticotropin
4. Antidiuretic hormone

Correct answer: 1. Prolactin

Explanation: (Ref: KDT 6/e p431) Dopamine acts like prolactin releasing inhibitory hormone. D2 blockers decrease the action of dopamine and can result in hyperprolactinemia. Some drugs blocking D2 receptors are: Antipsychotics like chlorpromazine Metoclopramide